Periplasmic space is seen in -
1. Gram positive bacteria
2. Gram negative bacteria
3. Acid fast bacteria
4. All

Correct answer: 2. Gram negative bacteria

Explanation: Ans. is 'b' i.e., Gram negative bacteria * Periplasmic space is a narrow space between cytoplasmic membrane (plasma membrane) and cell wall.* Periplasmic space has been more frequently and better recorded in gram-negative bacteria as compared to gram- negative."At present most gram positive bacteria are thought to have only periplasm, but not periplasmic space".